What is the treatment of appendicular carcinoma 3cm x 2cm in size in 24 year old male?
1. Right hemicolectomy
2. Appendicectomy
3. Caecal Resection
4. Radiotherapy

Correct answer: 1. Right hemicolectomy

Explanation: Ans. is 'a' i.e., Right hemicolectomy o Has been explained in previous sessions